In intestinal anastomosis, strength is mainly provided by:-
1. Mucosa
2. Submucosa
3. Serosa
4. Muscularis mucosa

Correct answer: 2. Submucosa

Explanation: In intestinal anastomosis, strength is mainly provided by Submucosa.